Trans-tubular potassium gradient (T.T.K.G) in hypokalemia is?
1. <3-4
2. >6-7
3. >9-10
4. >10-15

Correct answer: 1. <3-4

Explanation: The expected values of the Trans-tubular potassium gradient (T.T.K.G) are <3-4 in the presence of hypokalemia and >6-7 in the presence of hyperkalemia. TTKG is measured as follows: